OKA strain is used to produce vaccine for ?
1. Mumps
2. Measles
3. Japanese encephalitis
4. Chickenpox

Correct answer: 4. Chickenpox

Explanation: Ans. is 'd' i.e., Chickenpox